The host receptor for Entamoeba histolytica is:
1. Glycophorin A
2. N-acetylglucosamine
3. Heparan sulfate
4. Asialo-GM1

Correct answer: 2. N-acetylglucosamine

Explanation: N-acetylglucosamine is the host receptor for Entamoeba histolytica. Glycophorin A is the host receptor for Plasmodium falciparum, Heparan sulfate for Herpes simplex virus and Asialo-GM1 for Pseudomonas aeruginosa. Ref: Harrisons principles of internal medicine, 18th edition, Page: 1014.